All are cause of transudative pleural effusion, EXCEPT:
1. Cirrhosis
2. Nephrotic syndrome
3. Congestive heart failure
4. Bronchogenic carcinoma

Correct answer: 4. Bronchogenic carcinoma

Explanation: Bronchogenic carcinoma causes exudative effusion. Cirrhosis, Nephrotic syndrome and Congestive heart failure cause transudative effusion. Pulmonary thrombo embolism can cause both exudative and transudative pleural effusion. Ref: Harrisons principles of internal medicine, 18th edition, Page: 2180